Hemolytic uremic syndrome is associated with all except -
1. EHEC
2. Shigella
3. Campylobacter
4. Vibrio cholera

Correct answer: 4. Vibrio cholera